A 12yr old boy presents with vomiting within 3 hours ofconsumption of food at a party What is the likely causative organism
1. Staphylococcus aureus
2. Salmonella
3. Clostridium botulinum
4. Clostridium perfringens

Correct answer: 1. Staphylococcus aureus

Explanation: REF : ANANTHANARAYANA